Bone changes in hyperparathyroidism include:
1. Generalized demineralization
2. Brown tumours
3. Cystic changes
4. All of the above

Correct answer: 4. All of the above